Thickness offend apron to prevent radiation?
1. 1 mm
2. 3 mm
3. 0.5mm
4. 7mm

Correct answer: 3. 0.5mm

Explanation: Ans. is 'c' i.e., 0.5 mm o Lead aprons (0.5 mm of lead) will reduce the intensity of scattered X-ray over 90% and should be worn by all workers regularly associated with x-ray procedures.